Commonest carcinoma that can cause splenic metastasis is which of the following?
1. Ca. Pancreas
2. Ca. Stomach
3. Ca. Ovary
4. Ca. Cervix

Correct answer: 3. Ca. Ovary

Explanation: Although isolated metastasis to spleen is rare, studies found the most common primary neoplasms with splenic metastasis to be gynecologic (61%), with majority being ovarian, colorectal (15%), lung (9%), and stomach (4%). Ref: CT and MRI of the Abdomen and Pelvis: A Teaching File edited by Pablo R. Ros, Koenraad J. Moele, 2006, Page 218.